Waardenburg's syndrome following are seen except:
1. Widening of the eyebrow
2. Short palpebral fissure
3. Interstitial keratitis
4. Heterochromia iridis

Correct answer: 3. Interstitial keratitis

Explanation: C i.e. Interstitial keratitis Waardenburg's Syndrome It is characterized by - "Mi Broad DPS Hit" Micro cornea Broad nasal root Dystopia canthorumQ (or telecanthus i.e. increased distance between the medial canthi due to lateral displacement of inner canthi but normal interpupillary distance) Piebaldism Sensorineural hearing loss Hetrochromia iridis Q Hirschsprung's disease and Waardenburg's syndrome are two systemic disorders that have cutaneous finding of piebaldism. A possible explanation of both disorders is an abnormal embryonic migration of two neural crest derived elements one of being melanocytes & other myenteric ganglionic cells (Hirshsprung's disease) or auditory nerve cells (Waardenburg's syndrome).